Posterior cruciate ligament- true statement is
1. Attached to the lateral femoral condyle
2. Intra synovial
3. Prevents posterior dislocation of tibia
4. Relaxed in full flexion

Correct answer: 3. Prevents posterior dislocation of tibia

Explanation: C i.e Prevents posterior dislocation of tibia